Which of the following statements about iodine preparations is false?
1. Contraindicated in hyperthyroidism
2. Causes iodism
3. Inhibits the release of thyroxine
4. Inhibits the synthesis of iodo thyroxine and iodo thyronine

Correct answer: 1. Contraindicated in hyperthyroidism

Explanation: Excess iodine inhibits it's own transport in thyroid cells and may alter the redox potentials of cells, thus interfering with iodination . It leads to reduced T3 and T4 synthesis. potassium iodide can be used in hyperthyroidism Potassium iodide (KI): a stable form of iodine that blocks uptake of iodine into the thyroid (REF.Essential of medical pharmacology K D TRIPATHI 6 Edition, Page No - 251,252)